Lutembacker syndrome includes all except-
1. Mitral stenosis
2. ASD
3. VSD
4. Left to right shunt

Correct answer: 3. VSD

Explanation: Ans. is 'c' i.e., VSD * Lutembacher syndrome is defined as a combination of mitral stenosis and a left-to-right shunt at the atrial level.* Typically, the left-to-right shunt is an atrial septal defect (ASD) of the ostium secundum variety.